Not associated with HHV8:
1. Castleman's disease
2. Kaposi sarcoma
3. Body cavity lymphoma
4. Adult T cell lymphoma

Correct answer: 4. Adult T cell lymphoma

Explanation: Ans. (d) Adult T cell lymphoma Ref. Harrison 19/e 1476 Manifestations of HHV-8 Infection Immunocompetent Individual: Fever and maculopapular rash. Among individuals with intact immunity, chronic asymptomatic infection is the rule, and neoplastic disorders generally develop only after subsequent immunocompromise. Immunocompromised persons: Primary infection: Fever, splenomegaly, lymphoid hyperplasia, pancytopenia, or rapid- onset Kaposi Sarcoma. Reactivation of latent infection: Kaposi Sarcoma, Body cavity Lymphoma, Multicentric Castleman's disease.